Anti D immunoglobulin must be given to a mother of 0 negative group with a bay of 0 positive within:
1. At birth 4 hours
2. 4 hours
3. 24 hours
4. 72 hours

Correct answer: 4. 72 hours

Explanation: 72 hours